Plasminogen domain resembles
1. Fibrinogen
2. LDL receptor
3. Apolipoprotein a
4. Prothrombin

Correct answer: 3. Apolipoprotein a

Explanation: REF: ROBBINS pathology 10th edition Phylogeny of the serine proteinase domains and analysis of intron-exon boundaries and Kringle sequences indicate that hepatocyte growth factor/scatter factor (HGF/SF), hepatocyte growth factor-like/macrophage stimulating protein (HGFVMSP), plasminogen, and apolipoprotein (a) have evolved from a common ancestral gene. The name Kringle comes from the Scandinavian pastry that these structures resemble them